Which of the following statement is/are true of all paramyxoviruses -a) They contain a single standed RNA genome of negative polarityb) Envelope is derived from the host cells plasma membranec) They have a cytoplasmic site of replicationd) They enter the body by the respiratory route
1. acd
2. abcd
3. abc
4. ab

Correct answer: 2. abcd

Explanation: Paramyxoviruses are negative sense single stranded Enveloped RNA viruses
Site of riboncleoprotein synthesis is cytoplasm and envelop is derived from host cell plasma membrane
They are important pathogens of infants and children and responsible for major part of acute respiratory infections and Infection is acquired by respiratory route